Which statin is not metabolized by CYP3A4?
1. Lovastatin
2. Simvastatin
3. Atorvastatin
4. Pravastatin

Correct answer: 4. Pravastatin

Explanation: Pravastatin causes minimum drug interactions, minimum food interactions and minimum risk of myopathy. They also decreases amount of fibrinogen and it is not metabolised by CYP3A4.